Molar pregnancy diagnosis is by-
1. USG
2. CT
3. MRI
4. X-RAY

Correct answer: 1. USG

Explanation: Ans. is 'a' i.e., USG Investigations for molar pregnancyo CBC & blood groupingo LFT, RFT & Thyroid friction testso Sonography - "snow storm appearance"is characteristic.o Quantitative estimation of HCG-High litre in urine, diluted upto 1 in 200 to 1 in 500 beyond 100 days of gestation is very much suggestive. Rapidly increasing value of serum HCG (>100,000Miu/100ml).o Plain X-ray abdomen - if uterine size is more than 16 weeks, a negative fetal shadow is of help,o Straight X-ray chest - for pulmonary embolismo CT & MRI - not routinely usedo Histopathologv of the products of conception is definitive.